Disease caused by trinucleotide repeats are all except?
1. Huntington's chorea
2. Myotonic dystrophy
3. Friedrich's ataxia
4. Hereditary Nonpolyposis Colon Cancer

Correct answer: 4. Hereditary Nonpolyposis Colon Cancer

Explanation: Ans. is 'd' i.e., Hereditary Nonpolyposis Colon Cancer Examples of trinucleotide repeat mutation :?1) Huntignton's disease 2) Spinocerebella ataxia3) Friedreich ataxia 4) Fragile - X-syndrome5) Dystrophia myotanica 6) Dentorubral pallidoluysiane atrophy 7) X-chromosome spinobulbar muscular atrophy